The predominant organism found in smears of ANUG is
1. Vibro
2. Fusobacterium
3. Spirochetes
4. Streptococci

Correct answer: 3. Spirochetes